Prothrombin to thrombin conversion need
1. Calcium
2. Magnesium
3. Potassium
4. Sodium

Correct answer: 1. Calcium

Explanation: Calcium needed in all the steps of the clotting EXCEPT: first two steps of intrinsic pathway under stimulatory effect of HMW kininogen & prekallikren